What is the mechanism of action of Nevirapine?
1. It is a Protease inhibitor
2. It is a Nucleoside reverse transcriptase inhibitor
3. It is a Non-nucleoside reverse transcriptase inhibitor
4. It is a Fusion inhibitor

Correct answer: 3. It is a Non-nucleoside reverse transcriptase inhibitor

Explanation: Nevirapine is a non-nucleoside reverse transcriptase inhibitor. It directly inhibits HIV reverse transcriptase without the need for intracellular phosphorylation. It can induce cytochrome P450 enzymes and can induce their own metabolism as well as other drugs. Side effects includes rashes, nausea headache fever and elevation of liver enzymes. Nevirapine, Delavirdine and Efavirenz are NNRTIs. Ref: Essentials of Medical Pharmacology, 5th Edition, Pages 725-31